The diagnostic characteristics of Plasmodium falciparum are best described by which one of the following statements?
1. An important diagnostic feature is the irregular appearance of the edges of the infected RBC.
2. A period of 72 hours is required for the development of the mature schizont, which resembles a rosette with only 8 to 10 oval merozoites.
3. Except in infections with very high parasitemia, only ring forms of early trophozoites and the gametocytes are seen in the peripheral blood.
4. Schuffner stippling is routinely seen in RBC's that harbor parasites.

Correct answer: 3. Except in infections with very high parasitemia, only ring forms of early trophozoites and the gametocytes are seen in the peripheral blood.

Explanation: P. Falciparum infection Distinguished by the appearance of ring forms of early trophozoites and gametocytes, both of which can be found in the peripheral blood. The size of the RBC is usually normal.Double chromatin dots in the rings are common. Schuffner stippling is routinely seen in RBC's that harbor P.vivax.